Renal artery stenosis is caused by all except
1. Atherosclerosis
2. Fibromuscular dysplasia
3. Takayasu arteritis
4. Beurger's disease

Correct answer: 4. Beurger's disease

Explanation: Ans: d (Beurger's disease) Ref: Harrison 17th p. 1555Renal artery stenosis is not caused by Beurger's disease.Renal artery stenosisCauses: - AtherosclerosisFibromuscular dysplasiaTakayasu arteritisAtherosclerosis is the most common cause of RAS in old patients.Takayasu arteritis (aortoarteritis) is the most common cause of RAS in young patients in India.Fibromuscular dysplasia is the most common cause of RAS in young patients in western countries. It is mainly seen in females.Note:-Best (preferred) screening test for renovascular hypertension -Captopril enhanced radionuclide renal scan.Most sensitive and specific screening test -spiral CT scanThe confirmatory test -bilateral arteriography with repeated bilateral renal vein and systemic renin determination.